The difference between gram + ve and gram -ve organism is that Gram +ve org. contains -
1. Teichoic acid
2. Muramic acid
3. N-Acetylneuraminic acid
4. Aromatic amino acids

Correct answer: 1. Teichoic acid

Explanation: Comparison of cell walls of Gram-positive and Gram-negative bacteria